At systemic arterial mean BP of 50 mmhg urine output is:
1. Nil
2. 0.5 ml/min
3. 1ml/min
4. 2ml/min

Correct answer: 1. Nil

Explanation: Ref: graph fig:42.5 page no :356 Textbook of physiology Volume 1 7th edition AK Jain